Appendicular artery is a branch of
1. Iliocolic
2. Right colic
3. Inferior mesenteric
4. Marginal artery

Correct answer: 1. Iliocolic

Explanation: The appendicular artery is a terminal branch of the ileocolic artery that descends behind the termination of the ileum and enters the mesoappendix of the vermiform appendix. It runs near the free margin of the mesoappendix and ends in branches which supply the appendix. ref - sciencedirect.com